Spindle shaped conidia are seen in-
1. Aspergillus
2. Fusarium
3. Penicillium
4. Coniodiobolus

Correct answer: 2. Fusarium

Explanation: Fusarium is a hyaline septate mold. Spindle shaped/fusiform conidia are formed by Fusarium.